Kernohan's notch is seen in the following organ injury:
1. Brain
2. Lungs
3. Right lobe of the liver
4. Left lobe of the liver

Correct answer: 1. Brain

Explanation: When severe brain swelling or a space occupying lesion causes raised intracranial pressure above the tentorium, compression of the midbrain against the free edge of the tentorium may occur. This may be unilateral causing grooving of a cerebral peduncle called Kernohan's notch. Ref: Essentials of Forensic Medicine and Toxicology by Narayan Reddy, 27th edition, Page 225.